Unilateral edentulous area with natural teeth both anterior and posterior to it represent Kennedy's arch.
1. Class I
2. Class II
3. Class III
4. Class IV

Correct answer: 3. Class III